All are elaborated by small cell carcinoma lung, except
1. ADH
2. ACTH
3. 5-HT
4. Noradrenaline

Correct answer: 4. Noradrenaline

Explanation: The ectopic hormones produced by lung carcinoma are :

ACTH - produced by Small cell Ca
AVP (ADH) - produced by Small cell Ca
ANF - produced by Small cell Ca
Calcitonin - produced by Non-small cell Ca
PTH - produced by Non-small cell Ca